Quellung reaction is associated with
1. Capsular degeneration
2. Capsular delineation
3. Capsular absence
4. Lecithinase production

Correct answer: 2. Capsular delineation

Explanation: Quellung reaction: a specific test of Streptococcus pneumoniae. A suspension of Streptococcus pneumoniae is mixed with a drop of the type-specific antiserum and a spoonful of methylene blue solution. In the presence of the homologous antiserum, the capsule becomes apparently swollen, sharply delineated and refractile. The Quellung test can be done directly with sputum from acute pneumonia cases. Reference: Textbook of Microbiology; Anathanarayan and panicker's; 10th edition; Page no: 225